Vasanti 45 years, was brought to casualty with abnormal movements which induced persistent deviation of neck to right side. One day before she was prescribed Haloperidol 5mg three times daily from the psychiatry OPD. She also had an alternation with her husband recently. Which of the following is the most likely cause for her symptoms.
1. Conversion reaction
2. Acute psychosis
3. Acute drug dystonia
4. CVA

Correct answer: 3. Acute drug dystonia

Explanation: C i.e. Acute drug dystonia